Which of the following principles of the cavity preparation is not considered much in modern methods of restorative Dentistry?
1. Extension for prevention
2. Convenient form
3. removal of the undermined enamel
4. Removal of the carious dentine

Correct answer: 1. Extension for prevention